When will you do emergency endotracheal intubation?
1. GCS<7
2. Tension pneumothorax
3. Cardiac tamponade
4. Bleeding gastric ulcer

Correct answer: 1. GCS<7

Explanation: Ans.(a) GCS<7Ref: Ezri T and Warters RD, Chapter 15: Indications for tracheal intubation p. 371-8 * In a case of head trauma if GCS is 8 or less - a definitive airway may be required.